All of them are usually seen as an opportunistic infection in AIDS except:
1. Candidiasis
2. Kaposi's sarcoma
3. Rubella
4. Cytomegalovirus infection

Correct answer: 3. Rubella